A 2-day-old newborn female is diagnosed with pulmonary stenosis, overriding of the aorta, ventricular septal defect, and hypertrophy of the right ventricle. Which condition is best characterized by these signs?
1. Tetralogy of Fallot
2. Atrial septal defect
3. Transposition of the great vessels
4. Pulmonary atresia

Correct answer: 1. Tetralogy of Fallot

Explanation: Tetralogy of Fallot is always characterized by four cardiac defects: pulmonary stenosis, ventricular septal defect (VSD), overriding aorta, and these in turn lead to right ventricular hypertrophy. An atrial septal defect (ASD) is characterized by the communication between the two atria. In a case of transposition of the great vessels, the aorta arises from the right ventricle and the pulmonary trunk arises from the left ventricle.